Highest biological value of protein is seen in –
1. Eggs
2. Fish
3. Soyabean
4. Gram

Correct answer: 1. Eggs

Explanation: Egg protein is considered to be the best food protein by nutritionists.
Net protein utilization, which combines in a single value, the biological value and digestibility is 100 for egg compared to 80 for meat and 75 for milk.
Egg protein therefore is used as a reference protein. It is taken as the standard protein, against which the quality of other proteins is compared.
Egg contains all nutrients except                 
Carbohydrates
Vitamin C